Isthmus of thyroid gland is across tracheal rings:
1. 2nd - 4th
2. 3rd - 5th
3. 5th and 6th
4. 4th only

Correct answer: 1. 2nd - 4th

Explanation: The isthmus of the thyroid gland extends across the midline in front of the 2nd, 3rd, and 4th tracheal rings.